Gram staining of the sputum of the patients with pneumonia is diagnostic with all these pathogens, EXCEPT:
1. S. pneumoniae
2. S. aureus
3. Gram-negative bacteria
4. Coxiella burnetii

Correct answer: 4. Coxiella burnetii

Explanation: Gram's staining may identify certain pathogens (e.g., S. pneumoniae, S. aureus, and gram-negative bacteria) by their characteristic appearance. A sputum sample must have 1. >25 neutrophils 2. <10 squamous epithelial cells per low-power field, to be adequate for culture. Ref: Harrison, E-18, P-2133